Protein secreted by odontoblast:
1. Chitin
2. Keratin
3. Collagen
4. Elastin

Correct answer: 3. Collagen